Which of the following is/are X ray feature/s of perthes disease?
1. Increased medial joint space
2. Metaphyseal cysts and rarefaction
3. Lateral extrusion of femur head
4. All the above

Correct answer: 4. All the above

Explanation: Ans. is 'd' i.e., All the above * Radiological findings in perthe's disease arei) Increased medial joint spaceii) Widening of femoral neckiii) Lateral extrusion (lateral subluxation)iv) Metaphyseal cysts and rarefaction ofmetaphysisv) Horizontal physis with speckled calcification lateral to itvi) Fragmentation of femoral head with increased density (irregular densities in the epiphysis)